Which of the following is not associated with increased risk of thromboembolism in pregnancy?
1. Anaemia
2. Blood group O
3. Increases with rising parity
4. Antithrombin deficiency

Correct answer: 2. Blood group O

Explanation: Age > 35 years, smoking and blood groups other than 'O' are associated with | risk of thromboembolism in pregnancy. Ref: Karla Philip, 3rd Edition, Page 312